Severe intellectual disability is:
1. 50-70
2. 35-50
3. 20-35
4. < 20

Correct answer: 3. 20-35

Explanation: Ans. 20-35